Amount of I-131 given for carcinoma of thyroid is
1. 30-100  mCi in low risk patients
2. 100-200 mCi in high risk patients
3. Both 1 and 2
4. 50 mCi

Correct answer: 3. Both 1 and 2